Which of the following antifungal agents binds to ergosterol
1. Flucytosine
2. Terbinafine
3. Amphotericin B
4. Fluconazole

Correct answer: 3. Amphotericin B

Explanation: POLYENE ANTIBIOTICS Amphotericin B (AMB) Mech of action:- The polyenes have high affinity for ergosterol present in fungal cell membrane. They combine with it, get inserted into the membrane and several polyene molecules together orient themselves in such a way as to form a 'micropore'. The hydrophilic side forms the interior of the pore through which ions, amino acids and other water-soluble substances move out. The micropore is stabilized by membrane sterols which fill up the spaces between the AMB molecules on the lipophilic side--constituting the outer surface of the pore. Thus, cell permeability is markedly increased. Ref:- kd tripathi; pg num:-787